Which of the following is secreted by beta cells of pancreas along with insulin
1. Somatostatin
2. Amylin
3. Pancreatic polypeptide
4. Glucose like polypeptide

Correct answer: 2. Amylin

Explanation: Refer KDT 7th/227 Amylin is secreted along with insulin from beta cells of pancreas. Like insulin, it also help in decreasing blood sugar Analog of this substance, Pramlintide,is approved for both type 1 as well as type 2 diabetes mellitus